In Haemophilic arthropathy, which of the following abnormality is not seen?
1. Subchondral bone cyst formation
2. Increase in intercondylar distance
3. Juxta articular osteosclerosis
4. Subchondral thinning

Correct answer: 3. Juxta articular osteosclerosis

Explanation: Radiological Features Soft tissue swelling and capsular distension. Juxta-articular osteopenia (not sclerosis). Overgrowth and osteoporosis of epiphysis. Marginal erosions and subchondral cysts. Narrowing of joint space (with cartilage destruction) and bony over growth. Widening of intercondylar notch of femur and squaring of distal end patella. Enlargement of proximal radius and trochlear notch of ulna. Total loss of joint space and fibrous ankylosis. Hemarthrosis is bleeding into a joint. Causes include trauma, bleeding disorders, etc.